Shrinking lung syndrome is seen in?
1. SLE
2. MCTD
3. Rheumatoid arthritis
4. Scleroderma

Correct answer: 1. SLE

Explanation: Option A : Shrinking lung syndrome seen in SLE.